Action of quadratus femoris is -
1. Extension
2. Flexion
3. Lateral rotation
4. Medial rotation

Correct answer: 3. Lateral rotation